Which is the most common congenital abnormality in a baby of a diabetic woman?
1. Ventricular septal defect
2. Anencephaly
3. Meningomyelocele
4. Sacral agenesis

Correct answer: 1. Ventricular septal defect

Explanation: Ans: A Ventricular septal defectExplanation:(Ref. Nelson 20/e p898)Most common congenital abnormality in a baby of diabetic women is ventricular septa! defect.Congenital anomalies are increased threefold in infants of diabetic mothers.Most common anomalies:Cardiac malformations (ventricular or atrial septal defect, transposition of the great vessels, truncus arteriosus, double-outlet right ventricle, tricuspid atresia, coarciation of the aorta).Lumbosacral agenesis.Additional anomalies:Neural tube defects, hydronephrosis, renal agenesis and dysplasia, duodenal or anorectal atresia, situs in versus, double ureter, and holoprosencephaly.These infants may also demonstrate abdominal distention caused by a transient delay in development of the left side of the colon, the small left colon syndrome.